All are seen with sodium bicarbonate therapy EXCEPT:
1. Volume overload
2. Hypernatremia
3. Hypercalcemia
4. Activates Pyruvate carboxylase

Correct answer: 3. Hypercalcemia

Explanation: Hypercalcemia REF: Emergency medicine secrets By Vincent J. Markovchick, Peter T. Pons page 8, Therapy of renal diseases and related disorders - Wadi N. Suki, Shaul G. Massry Page 59, Lehninger Principles of Biochemistry 4th Edition page 544 Correction of the acidosis with sodium bicarbonate is indicated if the pH is less than 7.2, to avoid the threat of cardiac depression and dysrhythmias Pyruvate carboxylase, a mitochondrial enzyme that requires the coenzyme biotin, converts the pyruvate to oxaloacetateThe reaction involves biotin as a carrier of activated HCO3- (bicarbonate) In general, the severity of these effects is related to the amount of bicarbonate used. These undesirable effects include: Volume overload Hypernatraemia Hypocalcemia Hypokalaemia Hyperosmolality Rebound or 'overshoot' alkalosis Impaired oxygen unloading due to left shift of the oxyhaemoglobin dissociation curve Acceleration of lactate production by removal of acidotic inhibition of glycolysis Metabolic alkalosis Hypercapnia